Alcohol, salicylates and pilocarpine can be used as:
1. Chelating agents
2. Diaphoretics
3. Purging
4. Forced alkaline diuresis

Correct answer: 2. Diaphoretics

Explanation: Ans. Diaphoretics